Homer's syndrome is associated with:
1. Bronchiectasis
2. Apical lung carcinoma
3. Chronic bronchitis
4. Bronchial asthma

Correct answer: 2. Apical lung carcinoma

Explanation: Ans. B: Apical lung carcinoma